An ideal method for treating both primary and recurrent condyloma acuminata?
1. Krypton laser
2. NdYAG laser
3. CO2 laser
4. Flashlamp-pumped pulsed dye laser

Correct answer: 3. CO2 laser

Explanation: CO2 laser: ideal method for treating both primary and recurrent condyloma acuminata because of its precision and the wound's rapid healing without scarring. For pregnant women, this is the TOC for large or extensive lesions and for cases that do not respond to repeated applications of trichloroacetic acid. Pulsed CO2 laser followed by Q-switched alexandrite laser in the treatment of dermal-type melasma is effective.